Cardinal movements of labour are :
1. Engagement → descent → flexion → internal rotation → extension → restitution → external rotation → expulsion
2. Engagement → flexion → descent → internal rotation → extension → expulsion
3. Engagement → flexion → descent → external rotation → expulsion
4. Engagement → extension → internal rotation → external rotation → expulsion

Correct answer: 1. Engagement → descent → flexion → internal rotation → extension → restitution → external rotation → expulsion